All of the following can be used in treatment of metoprolol toxicity EXCEPT
1. Glucagon
2. Atropine
3. Calcium gluconate
4. Naloxone

Correct answer: 4. Naloxone

Explanation: Beta blockers decrease the level of cAMP by inhibiting beta 1 mediated stimulation of adenyl cyclase enzyme. Glucagon being the source of cAMP is used as an antidote Atropine can also be used to increase heart rate and reverse Bradycardia seen in beta blocker poisoning. Calcium gluconate can directly stimulate the heart and reverse cardiodepressant effects of beta blockers. Naloxone is given for opioid poisoning. It has no role in beta blocker poisoning.